Which of the following is not a cause for the development of carpal tunnel syndrome?
1. Alcoholism
2. Sarcoidosis
3. Gout
4. Menorrhagia

Correct answer: 4. Menorrhagia

Explanation: Ans. is 'd' i.e., Menorrhagia * There are many causes of carpal tunnel syndrome: -1) Idiopathic: - This is the most common cause.2) Pregnancy and menopause3) Metabolic: - Gout, Diabetes mellitus4) Endocrine: - Hypothyroidism, Myxedema, Acromegaly, Hyperparathyroidism.5) Deposition disorder:- Amyloidosis, Sarcoidosis, Rheumatid arthritis, Leukemia, CRF, Mucopoly-saccharoidosis.6) Alcoholism7) Local causes: - Malunited colie's fracture, osteo-arthritis of the carpal bones, synovitits of flexor tendon sheath, hematoma.